Widal test is -
1. Slide flocculation test
2. Immunodiffusion
3. Tube precipitation
4. Tube agglutination

Correct answer: 4. Tube agglutination

Explanation: Ans. is 'd' i.e., Tube agglutination Agglutinationo When a particulate antigen is mixed with its antibody in the presence of electrolytes at a suitable temperature and pH, the particles are clumped or agglutinatedo Agglutination is more sensitive than precipitation for the detection of antibodies.Agglutination tests|||||Slide agglutinationTube agglutinationCoombs testPassive agglutination testo Blood grouping and cross - matchingo Widal testo Weil - felix reactiono Paul Bunnell testo Cold agglutination testo Streptococcus MG agglutination testo Anti - Rh antibody test||||| Haemagglutinationo Rose Waaler test for R. A.Latex agglutinationo Detection of: ASO CRP RA factor HOG